Schatzki's ring is present in -
1. Upper end of esophagus
2. Mid-esophagus
3. Squamocolumnar junction in esophagus
4. Fundus of stomach

Correct answer: 3. Squamocolumnar junction in esophagus

Explanation: Ans. is 'c' i.e., Squamocolumnar junction in esophagus Schatzki's ringo It occurs at the junction of squamous and columnar epithelium at the lower end of oesophagus and has also been called lower oesophageal ring.o Usually seen in patients above 50 years of age.o Cause is unknown.o Symptomatic patients complain of intermittent dysphagia and some may even present with bolus obstructiono It may be associated with hiatus herniao Treatment is oesophageal dilatation.